Genital ulcers are seen in all except -
1. H. aegyptius
2. H. ducreyi
3. HSV
4. Chlamydia

Correct answer: 1. H. aegyptius